Oligohydramnios causes include -
1. DM
2. Oesophageal atresia
3. Rh isoimmunisation
4. Renal agenesis

Correct answer: 4. Renal agenesis

Explanation: Ans-Di.e., Renal agenesis Oligohydramnioso In this condition, liquor amnii is deficient in an amount to the extent of fewer than 200 ml at term,o Sonographically it is defined as when the max vertical pocket of liquor amnii is less than 2 cm or when the amniotic fluid index is less than 5 cm (< 10 centiles). With AFI < 8 cm (below 5th centile) or> 24 cm (above 95 centile) was considerd abnormal at gestational age. from 28-40 weeks.Etiologyo Fetal causesFetal chromosomal or structural anomaliesRenal AgenesisObstructed uropathySpontaneous rupture of membraneIntrauterine infectionsDrugs:- PG inhibitors, ACE inhibitorspostmaturity1UGRAmnion nodosum ( failure of secretion by the cells of the amnion covering the placenta)o Maternal causesHypertensive disordersUteroplacental insufficiencyDehydrationIdiopathic